Most common vascular tumour in AIDS
1. Kaposi - sarcoma
2. Angiosarcoma
3. Lymphangioma
4. Lymphoma

Correct answer: 1. Kaposi - sarcoma

Explanation: (Kaposi - sarcoma) (256 - R) (164- Basic pathology 8th)* Patients with AIDS have a high incidence of certain tumours especially Kaposi-sarcoma, non hodgkins B-cell lymphoma, cervical cancer in women and anal cancer in men* Kaposi - sarcoma is a vascular tumour that is otherwise rare in US is the most common neoplasm in patients with AIDS* The lesion of kaposi sarcoma are characterised by the proliferation of spindle cells that express markers of both endothelial (vascular or lymphatic) and smooth muscle lineages. There is also a profusion of slit -like vascular spaces, suggests that the lesions may arise from primitive mesenchymal precursors of vascular channels